Cyst arise from rests of Serres is/ are:
1. OKC
2. Glandular odontogenic cyst.
3. Gingival cyst of infants
4. All of the above.

Correct answer: 4. All of the above.

Explanation: Rests of molasses (HERS)

Residual cyst
Radicular cyst

Rests of serres (Dental lamima)

Okc
Lateral periodontsl cyst
Glandular odontogeric cyst
Gingival cyst of

1.infants
2.adults.
REE – Reduced Enamel Epithelium

Dentigerous
Graption